The constriction in Ainhum develops usually at the interphalangeal joint of
1. Great toe
2. Little toe
3. Thumb
4. Little finger

Correct answer: 2. Little toe

Explanation: Also known as Dactylolysis Spontanea is a painful constriction of the base of the fifth toe frequently followed by bilateral spontaneous autoamputation a few years later.